Epstein Barr virus causes all except -
1. Burkitt's lymphoma
2. Infectious mononucleosis
3. Nasopharyngeal carcinoma
4. Carcinoma cervix

Correct answer: 4. Carcinoma cervix

Explanation: EB virus infection leads to Infectious mononucleosis, Burkitt's lymphoma, Nasopharyngeal carcinoma in persons of Chinese origin Lymphoma in immunodeficient persons such as AIDS. REF:ANATHANARAYAN AND PANIKER'S TEXTBOOK OF MICROBIOLOGY 8TH EDITION PAGE NO:475